Neurolept Malignant Syndrome (NMS) is caused by?
1. Metoclopramide
2. Phenothiazines
3. Haloperidol
4. All of the above

Correct answer: 4. All of the above

Explanation: Ans. D. All of the above. (Ref H - 17th/pg. 118; Table 17-1)Harrison's internal medicine - 17th/pg, 118..............The neuroleptic malignant syndrome (NMS) occurs in the setting of neuroleptic agent use (antipsychotic phenothiazines, haloperidol, prochlorperazine, metoclopramide) or the withdrawal of dopaminergic drugs and is characterized by "lead-pipe" muscle rigidity, extrapyramidal side effects, autonomic dysregulation, and hyperthermia.NMS is rare dose-related adverse effect of neuroleptics characterized by marked rigidity, immobility, tremors, hyperpyrexia, fluctuating BP and HR, semiconsciousness and myoglobin in blood. It should generally be treated with dantrolene and dopamine agonists.Drugs that may cause neuroleptic malignant syndrome :# Phenothiazines;# Butyrophenones, including haloperidol and bromperidol;# Fluoxetine;# Loxapine;# Tricyclic and benzodiazepines;# Metoclopramide# Domperidone;# Thiothixene;# Molindone;# Withdrawal of dopaminergic agentsNeuroleptic medications associated with neurolaptic malignant syndromeTypical neurolepticsA Atypical neurolepticHaloperidol (+++)Clozapine (+)Chlorpromazine (++)Clanzapine (+)Fuphenazine, long acting (++)Quetia pine (+)Fluphonazine (++)pospendone (+)Lavoropromazine (+) Loxapine (+) += rarely associated with NMS, +++ + more commonly asociated with NMS Clinical differencesNMSSerotonin syndromePrecipitating factorsSudden withdrawal of dopaminergic agents or introduction agents that block dopamine signaling (e.g., neuroleptics and antiometics)Combination of agents that potentially stimulate serotonia receptors such as SSRIs and MAOIsOnsetSlower; 3-9 days following and addition of neurolepticsSudden within 24 hrs (in 75% of cases) following the addiltion of a serotonergic agentMental statusStupor, alert mutism, comaAgitation, comaAutonomic symptomsHyperthermia (>38IC)Dilated pupils, diarrhea, diaphoresis, vomitingNeuromuscular symptoms and signsAkinesia, extrapyramidal rigidityShivering, ataxia, myoclonus, hyperreflexia, ankle clonus, Barbilnski sign, systagmusElevation of WBC, LFT and muscle enzymesCommonLess frequentlyRecoverySlower, days to weeksRapid, 70% within 24 hrsMortality15-20%2.5%